The appropriate term used for describing the condition when the palatal cusps of the maxillary posterior teeth are placed buccal to the buccal cusps of mandibular posterior teeth:
1. Buccal non-occlusion
2. Lingual non-occlusion
3. Scissor bite
4. Both 1 and 3

Correct answer: 4. Both 1 and 3

Explanation: Buccal non-occlusion: Here the maxillary teeth palatal cusp of the occlusion are placed buccal to the buccal cusp of the mandibular posterior teeth. The condition is also known as scissors bite.